Sirolimus is administered by which route?
1. Oral
2. Inhalation
3. Intranasal
4. Intravenous

Correct answer: 1. Oral

Explanation: Sirolimus is available only as an oral drug. Its half-life is about 60 hours, while that of everolimus is around 43 hours. Ref: Katzung 11th edition Chapter 61.